Pemphigus neonatorum is a variety of
1. Bullous impetigo
2. Epidermolysis bullosa
3. Congenital syphilis
4. Pemphigus

Correct answer: 1. Bullous impetigo

Explanation: Pemphigoid neonatorum is a variety of bullous impetigo. Impetigo is a contagious superficial pyogenic infection. It can be bullous or non-bullous Causative organism: Bullous is caused by staph aureus Non bullous impetigo is caused by both Staph aureus and Strep pyogens Bullous disorder is widespread in neonate and was called pemphigus neonatorum (Ref: Harrison 20th edition pg 1245